Restriction endonuclease is :
1. Break single stranded DNA
2. Break double stranded DNA
3. Break peptide chain
4. Break RNA

Correct answer: 2. Break double stranded DNA

Explanation: B i.e. Break double stranded DNA